An increase in which of the following parameters will shift the O2 dissociation curve to the left:
1. Temperature
2. Partial pressure of CO2
3. 2,3 DPG concentration
4. Oxygen affinity of hemoglobin

Correct answer: 4. Oxygen affinity of hemoglobin

Explanation: D i.e. Oxygen affinity of hemoglobin